The scan with highest sensitivity to detect adrenal metastasis due to bronchogenic carcinoma is:
1. Contrast Enhanced CT abdomen with Adrenal protocol
2. PET scan
3. MRI scan
4. Radionuclide scan

Correct answer: 2. PET scan

Explanation: Scans to differentiate adrenal adenoma from adrenal metastasis are: CECT - Chemical shift MRI FDG-PET PETscan has almost 100 % sensitivity for detecting adrenal metastasis, so a negative study excludes the possibility of adrenal mets. But adenomas can give false positive test. Ref: Fundamentals of Diagnostic Radiology, Edition - 4, Page - 427.